A child presents with sudden onset of red spots on body. There is history of precceding viral infection 1-4 weeks before the onset of red spots. Lab investigations shows Hb-12gm%, WBC-11,000 Platelet count - 50,000. Which of the following is not useful for the management of this condition?
1. Platelet transfusion
2. Intravenous Immunoglobulin
3. Intravenous anti-D therapy
4. Corticosteroids

Correct answer: 1. Platelet transfusion

Explanation: Sudden onset of red spots indicates petechiae
History of preceding viral infection present.
Platelet count - 50,000
All these points towards Immune thrombocytopenic.
Here, Platelet transfusion is avoided, unless life threatening bleeding is present.